Which of the following pubertal events in girls is not estrogen dependent?
1. Menstruation
2. Vaginal cornification
3. Height spurt
4. Hair growth

Correct answer: 4. Hair growth

Explanation: Ans. is d, i.e. Hair growthRef: Williams Gynae 1st/ed, p315; Novak 14th/ed, p992, 15th/ed, p993In girls the sequence of development of puberty is (Mnemonic: GTPH in males).QG = Growth spurtT = Breast development (Thelarche)QP = Pubic hair development (Pubarche)QH = Height increases; peak growth velocityQ attainedIn males = Menstruation starts (Menarche)Q(Axillary hair develop after menstruation starts)Q* The main hormone responsible for secondary sexual characteristics in females is estrogen* Estrogen leads to- Breast development- Growth spurt, i.e. height attained- Production of cervical mucus- Cornification of vaginal cells- Menstruation (menstruation occurs due to withdrawal of progesterone in an oestrogen primed uterus)* Estrogen leads to* As far as hair growth is concerned - in females also the hormone responsible is Androgens (produced by adrenals and ovary)